Pharmacological closure of patent ductus arteriosus in a premature infant is by administration of ______________
1. Aspirin
2. Estrogen
3. Ibuprofen
4. Prednisolone

Correct answer: 3. Ibuprofen

Explanation: PDA treated with PG inhibitors. Ref : Ghai essential of pediatrics, eighth edition, p.no:417